Appropriate therapy with antiretroviral agents results in a syndrome characterized by an increased inflammatory response from the recovered immune system to subclinical opportunistic infection. What is this syndrome called as?
1. HIV related hyper- reactivity syndrome
2. AIDS related inflammatory syndrome
3. Immune reconstitution inflammatory syndrome
4. CD4 responsive inflammatory syndrome

Correct answer: 3. Immune reconstitution inflammatory syndrome

Explanation: Immune reconstitution inflammatory syndrome (IRIS)- characterized by increased inflammatory response, subclinical opportunistic infections. common in patients with severe CD4 + T-lymphocyte depletion There is fever & worsening of clinical manifestations of opportunistic infection or new manifestations (e.g., enlargement of lymph nodes, pulmonary infiltrates), typically within the 1st few weeks after initiation of antiretroviral therapy.